Carisolv which is a chemicomechanical substance used
for caries removal:
1. It contains glycine and lysine
2. It does not contain 0.5 NaoCl
3. It has a pH of 7
4. It contains erythrocin dye

Correct answer: 4. It contains erythrocin dye